Otitic barotrauma results due to
1. Ascent in air
2. Descent in air
3. Linear acceleration
4. Sudden acceleration

Correct answer: 2. Descent in air

Explanation: Otitic barotrauma is a nonsuppurative condition resulting from the failure of the eustachian tube to maintain middle ear pressure at ambient atmospheric level. The usual cause is rapid descent during an air flight, underwater diving or compression in a pressure chamber. Reference: Diseases of Ear, Nose and Throat, PL Dhingra, Shruthi Dhingra,7th edition, pg no.71